The following are related to uterine souffle except :
1. It is a soft blowing systolic murmur heard on the sides of pregnant uterus
2. The sound is synchronous with the maternal pulse
3. It is due to increased blood flow through the placental site
4. It can be heard even in a big fibroid

Correct answer: 3. It is due to increased blood flow through the placental site

Explanation: Uterine souffle is due to increase in blood flow through the dilated uterine vessels.Reference:DC Dutta's Textbook of obstetrics,8th edition,page no:79